All are important sources of dietary fibre in our diet Except
1. Bran
2. Fruits
3. Plant fibres
4. Muscle fibres

Correct answer: 4. Muscle fibres

Explanation: By definition "Dietary fibre is the remnants of the edible part of plants and analogous carbohydrates that are resistant to digestion and absorption in the human small intestine with complete or partial fermentation in the human large intestine."Park 23e pg 614